Which of the following is NOT TRUE of chicken pox rash?
1. Centripetal in distribution
2. Palms and soles are spared mostly
3. Pleomorphic rash
4. Scabs are infectious

Correct answer: 4. Scabs are infectious

Explanation: Rash of chicken pox appears on first day of fever. Appears first on the trunk and spreads to face, limbs usually sparing the palms and soles. It rapidly passes through the stages of macule, papule, vesicle and scab. Rash is pleomorphic in nature, i.e. all stages of rash may be present simultaneously Heals by scabbing around 4 to 7 days after beginning of rash. Scabs are non infectious. Ref: Park 21st edition, page 135-136 Chapter: Epidemiology in communicable diseases.